Taste sensation from anterior part of tongue is mediated by:
1. 10th CN
2. 7th CN
3. 12th CN
4. 5th CN

Correct answer: 2. 7th CN

Explanation: Ans: b (7th CN) Ref: Ganong, 22nd ed, p. 189Taste sensation from anterior 2/3 is by chorda tympani which is a branch of facial nerve.Taste sensation:Anterior 2/3 -- Chorda tympaniPosterior 1/3 + Circumvallate papillae -- GlossopharyngeaPosterior most part VagusPalate -- FacialGeneral sensation of tongue:Anterior 2/3 -- Lingual (5th CN)Posterior 1/3 -- GlossopharyngealNucleus tractus solitarius:Fibres of 7, 9 & 10 associated with taste sensation ends in this nucleus which is present in medulla.